Testosterone in male is secreted from:
1. Leydig cell
2. Sertoli cell
3. Seminal vesicle
4. Epididymis

Correct answer: 1. Leydig cell

Explanation: Ans. A Leydig cellRef: I.B. Singh, 9h ed. pg. 14-16* Leydig cell secretes testosterone* Sertoli cells help in maturation of spermatozoa* Epididymis: store sperm* Seminal vesicle: Secretes thick alkaline fluid.